Most common heart disease associated with pregnancy is
1. Mitral stenosis
2. Mitral regurgitation
3. Patent ductus arteriosus
4. Tetralogy of fallot's

Correct answer: 1. Mitral stenosis

Explanation: Mitral stenosis is the most common lesion seen in pregnancy, accounting for 90% cases of rheumatic disease The normal mitral valve area is about 4cm2-6cm2 Symptoms appear when stenosis <2.5cm2 Critical or severe stenosis </=1cm2 - have hight rate of Pulmonary edema(55%) and arrhthmias (33%) Reference: Textbook of Obstetrics; DC.DUTTAS 9th edition; Page no: 260